A neonate is presenting with respiratory distress. On clinical examination there are marked chest and xiphoid retractions with inspiratory lag and minimal nasal flaring. Grunting is audible by the help of stethoscope. Silverman Anderson score is?
1. 4
2. 5
3. 6
4. 7

Correct answer: 4. 7

Explanation: Silverman Score - Used to quantify respiratory distress in Preterm neonates - Has 5 components 0 1 2 Upper ChestRetractions Chest & abdomen moving equally, in same direction Chest movement lags behind abdomen See saw movements or paradoxical breathing Lower Chest Retractions None Minimal Marked Xiphi-Sternal Retractions None Minimal Marked Nasal Flare None Minimal Marked Grunt None Audible only with stethoscope audible without steth Maxm score: 10 Minm score: 0 More score = More Respiratory Distress Score > 7 = Severe Respiratory Distress In the given scenario, Characteristics Score Marked chest retractions 2 Marked xiphoid retractions 2 Inspiratory lag 1 Minimal nasal flaring 1 Grunting audible by the help of stethoscope only 1 Total score 7